Dowry death is under
1. Sec 304A
2. Sec 304B
3. Sec 113A
4. Sec 498A

Correct answer: 2. Sec 304B

Explanation: Sec 304B Dowry death where the death of a woman is caused by any burn or bodily injury or occurs otherwise than under normal circumstances within 7 years of her marriage and it is shown that soon before her death she was subjected to cruelty or harassment by her husband or any relative of her husband for, or in connection with, any demand for dowry, such death shall be called dowry death. Ref: TEXTBOOK OF FORENSIC MEDICINE AND TOXICOLOGY KRISHNAN VIJ FIFTH EDITION PAGE 169